Translation occurs in
1. Ribosomes
2. Mitochondria
3. Nucleus
4. Cytoplasm

Correct answer: 1. Ribosomes